According to Kim's classiﬁcation of microsurgical cases, which class represents a tooth with an apical lesion and complete denudation of the buccal plate but no mobility:
1. Class C
2. Class D
3. Class E
4. Class F

Correct answer: 4. Class F

Explanation: Kim's classiﬁcation of microsurgical cases
 
Class A: Represents a tooth with no periradicular lesion, no mobility, and normal pocket depth. The clinical symptoms have not resolved, though non-surgical options have been exhausted. Clinical symptoms are the only reason for the surgery.
Class B: Represents a tooth with presence of a small periradicular lesion with clinical symptoms. The tooth has normal periodontal probing depth and no mobility. The teeth in this class are ideal candidates for microsurgery.
Class C: Represents a tooth that has a large periradicular lesion, progressing coronally; without periodontal pocket and mobility.
Class D: Represents a tooth that is clinically similar to that in Class C, but has deep periodontal pockets.
Class E: Represents a tooth that has a large periradicular lesion with an endodontic-periodontal communication to the apex, but no obvious fracture.
Class F: Represents a tooth with an apical lesion and complete denudation of the buccal plate, but no mobility.
Textbook of Endodontics Nisha GARG 3rd ED